A shape of Birbeck granules is -
1. Hockeystick
2. Bat
3. Ball
4. Tennis racket

Correct answer: 4. Tennis racket

Explanation: Under the electron microscope, Birbeck granules have a pentalaminar, rod like, tubular appearance and sometimes a dilated terminal end resembling tennis-racket appearance.